A dental floss is applied to the distal bow of a clamp, its function is:
1. To facilitate the removal of the clamp
2. To prevent aspiration of clamp
3. To anchor the dam as cervically as possible
4. To stabilize the clamp

Correct answer: 2. To prevent aspiration of clamp